Earliest lesion in atherosclerosis is
1. Atheroma
2. Fatty streak
3. Fibrous plaque
4. None of the above

Correct answer: 2. Fatty streak